Both hyperplasia and hypertrophy is found in -
1. Pregnancy uterus
2. Cardiac muscle in cardiomegaly
3. Skeletal muscle in athelete
4. Breast development in lactation

Correct answer: 1. Pregnancy uterus

Explanation: . Pregnancy uterus